Opioid analgesics used in treatment of cough?
1. Noscapine
2. Dextromethorphan
3. Codeine
4. Meperidine

Correct answer: 3. Codeine

Explanation: Ans. c (Codeine). (Ref: KD Tripathi, Pharmacology, 5th ed., 424)Codeine or its substitutes are widely used in treatment for suppressing, dry irritating cough.Following are anti-tussives (cough centre supressants).a.Opioidcodeine, pholcodeine, ethyl morphine and morphineb.Non-opioidNoscapine, dextrometharphan, oxeladine, clophedianol,cAnti-histaminicschlorpheniramine, diphenyl hydramine, promethazine.